First symptom of digoxin overdose is
1. GIT disturbance
2. U-vave on ECG
3. Ectopic on ECG
4. Fainting spells

Correct answer: 1. GIT disturbance